True regarding Pfannenstiel incision is all except
1. Cosmetically attractive.
2. Can be easily extended or made larger.
3. Surgical access limited to pelvic organs.
4. Less risk of herniation.

Correct answer: 2. Can be easily extended or made larger.

Explanation: Pfannenstiel incision cannot be easily extended or made larger.